During Valsalva Maneuver, the heart rate varies as:
1. Tachycardia f/b bradycardia
2. Bradycardia f/b tachycardia
3. Tachycardia during and after Valsalva
4. Bradycardia during and after Valsalva

Correct answer: 1. Tachycardia f/b bradycardia

Explanation: Ans. A. Tachycardia f/b bradycardiaa. BP rises at the beginning of straining as the intrathoracic pressure rises. It falls soon thereafter as the high I/T pressure compresses veins, decrease the venous return and CO.b. This decrease in BP and Pulse pressure inhibit baroreceptors, leading to tachycardia and increased peripheral resistance. When the glottis is opened and I/T pressure return to normal, cardiac output is restored but the peripheral vessels are constricted. Hence BP rises above normal. This stimulates baroreceptors causing bradycardia and drop in pressure. Phase12a2b34Intrathoracic pressureIncreasedIncreasedIncreasedNormalNormalMean arterial BPIncreasedDecreasedIncrease*Decrease*IncreasedHeart rateDecreasedIncreasedDecrease*Increase*DecreasedSympathetic activityDecreasedDecreasedIncreasedIncreasedIncreasedPS (vagal) activityIncreasedIncreasedDecreasedDecreasedIncreased